Gall stones in hemolytic anaemia are -
1. Pigment
2. Mixed
3. Cholesterol
4. Any type

Correct answer: 1. Pigment